Which of the following medications is contraindicated in the treatment of an acute attack of gout?
1. Allopurinol
2. Colchicines
3. Corticosteroids
4. Indomethacin

Correct answer: 1. Allopurinol

Explanation: Gout is a metabolic disease process with abnormal amounts of urates in the body characterized by recurring acute arthritis. The diagnosis is verified by the presence of urate crystals in the fluid of affected joints. Treatment of an acute attack may include non-steroidal anti-inflammatory drugs, colchicines or corticosteroids for symptomatic relief. The xanthine oxidase inhibitor allopurinol promptly lowers plasma urate concentration and is helpful in preventing recurrences. The most frequent adverse effect, however, is the precipitation of an acute gouty attack. Ref: Burns C., Womann R.L. (2013). Chapter 44. Gout. In J.B. Imboden, D.B. Hellmann, J.H. Stone (Eds), CURRENT Diagnosis & Treatment: Rheumatology, 3e.